Chromophobe variant of renal cell is associated with -
1. VHL gene mutations
2. Trisomy of 7 and 17 (+7, +17)
3. 3 p deletions (3p-)
4. Monosomy of 1 and Y (-1, -Y)

Correct answer: 4. Monosomy of 1 and Y (-1, -Y)

Explanation: These tumors are unique in having multiple losses of entire chromosomes, including chromosomes 1, 2, 6, 10, 13, 17, and 21. Thus, they show extreme hypodiploidy. Because of multiple losses, the "critical hit" has not been determined. Ref: Robbins basic pathology 9th edition page548